Recurrent hematuria in a deaf mute is seen in -
1. Fanconis anemia
2. Alport's syndrome
3. Renal cytes
4. Nephrotic syndrome

Correct answer: 2. Alport's syndrome